"Iris bombe" occurs due to
1. Adherent Glaucoma
2. Anterior Synechiae
3. Posterior Synechiae
4. Ring synechiae

Correct answer: 4. Ring synechiae

Explanation: Posterior synechiae extending for 360 degrees around the pupil (seclusio pupillae), prevent the passage of aqueous from the posterior to the anterior chamber. This gives rise to forward bowing of the peripheral iris causing an 'iris bombe'. This may lead to elevation of IOP due to secondary angle closure by the peripheral iris.